Which of the following can result in oral contraceptive failure ?
1. Valproate
2. Rifampicin
3. NSAIDs
4. Ethambutol

Correct answer: 2. Rifampicin